Time period between primary case and secondary case is known as?
1. Generation time
2. Serial interval
3. Secondary attack rate
4. Incubation period

Correct answer: 2. Serial interval

Explanation: Ans. is 'b' i.e., Serial interval.